Pelvic outlet is said to be contracted if
1. Interischial tuberous diameter is < 7 cm
2. Interischial tuberous diameter is < 8 cm
3. Interischial tuberous diameter is < 9 cm
4. Interischial tuberous diameter is < 10 cm

Correct answer: 2. Interischial tuberous diameter is < 8 cm

Explanation: 8cm is threshold to define pelvic outlet contraction.